When the dental plaque is allowed to accumulate in the absence of any plaque control procedures, it results in gingivitis within
1. 1 to 3 days
2. 7 to 21 days
3. 2 months to 3 months
4. 24 hours to 48 hours

Correct answer: 2. 7 to 21 days